Anterior cerebral artery supplies which part of brain?
1. Anterior
2. Lateral
3. Medial
4. Posterior

Correct answer: 3. Medial

Explanation: Most of the medial surface is supplied by the anterior cerebral artery. It also supplies the medial part of the orbital surface of the frontal lobe
Middle cerebral artery supplies most of the superolateral surface of brain. It also supplies the temporal lobe and the lateral part of the orbital surface of the frontal lobe
Most of the inferior surface(except the temporal pole )and occipital lobe is supplied by the posterior cerebral artery.